Average reproductive lifespan of ovum is
1. 6-12 hrs
2. 12-24 hrs
3. 24-36 hrs
4. 3 days

Correct answer: 2. 12-24 hrs

Explanation: The egg cell, or ovum, is the female reproductive cell (gamete) in oogamous organisms. The egg cell is typically not capable of active movement, and average reproductive lifespan is about 12-24 hrs .it is much larger (visible to the naked eye) than the motile sperm cells. When egg and sperm fuse, a diploid cell (the zygote) is formed, which rapidly grows into a new organism.Ref: Ganong's review of medical physiology; 24th edition; page no: 406